Best indication for ECT is:
1. Depression with suicidal tendencies
2. Mania
3. Hysteria
4. Schizophrenia

Correct answer: 1. Depression with suicidal tendencies

Explanation: A ref: Ahuja, 4th/ep. 71-184 and 5th/e p. 205